The property which makes betaxolol different from timolol is that betaxolol:
1. Is a β1 selective blocker
2. Is more efficacious in glaucoma
3. Produces less ocular side effects
4. Is shorter acting

Correct answer: 1. Is a β1 selective blocker